Longest extraocular muscle is
1. Superior Rectus
2. Inferior rectus
3. Superior Oblique
4. Inferior oblique

Correct answer: 3. Superior Oblique

Explanation: Superior oblique is the longest extraocular muscle Extraocular muscles: Shortest tendon among rectus- MR Muscle having least distance from limbus - MR Superior oblique is longest muscle Inferior oblique is smallest muscle